Model diagnostic setup for planning clear aligners was given in 1945 by?
1. Kesling
2. Johnson
3. Angle
4. Ribbs

Correct answer: 1. Kesling